Hemophilia A has following except -
1. ↓ VIII factor
2. ↑PTT
3. ↑PT
4. Normal BT

Correct answer: 3. ↑PT

Explanation: Hemophila A

Hemophilia A is due to deficiency of factor VIII.
Hemophilia A is inherited as an X-linked recessive trait.
Factor VIII is an intrinsic pathway component required for activation of factor X.
Clinical manifestations are due to defect in coagulation system : -



Large post-traumatic ecchymoses or hematoma.


Prolonged bleeding after a laceration or any form of surgical procedure.


Bleeding into weight-bearing joints.



Petechiae are characteristically absent (in contrast to platelet dysfunction where bleeding occurs from small vessels of the skin and mucous membrane, e.g., petechiae).

Laboratory findings
↑ PTT
Normal PT
Normal BT
Normal platelet counts

Remember

Hemophilia B (Christmas disease) is due to deficiency of factor IX.
Hemophilia B has clinical features and laboratory findings similar to hemophilia A.